Coenzyme A formed from which vitamin -
1. C
2. B4
3. Nicotinic acid
4. Pentothenic acid

Correct answer: 4. Pentothenic acid

Explanation: Ans. is 'd' i.e., Pentothenic acid VitaminActive form (coenzymes)Reaction typeB1 (Thiamin)Thiamine pyrophosphate (TPP)Oxidative decarboxylation, TransketolationB2 (Riboflavin)FMN, FADOxidation / Reduction (Redox reaction)B3 (Niacin)NAD+, NADP+Oxidation / Reduction (Redox reaction)B6 (Pyridoxin)Pyridoxal phosphate (PLP)Transamination, deamination, decarboxylation, condensation, trans-sulfurationB12 (cobolamin)Methylcobalamin. deoxyadenosy Icoba lam inIsomerization of meihylmelonyl-CoA to succinyl-CoA, synthesis of methionine from homocysteineFolic acidTetrahydrofolate (THF)One carbon group transferBiotinBiocytinCarboxylationPantothenic acidPentothenate in Co A and ACPAcyl group transferVitamin KVitamin KCarboxylation of glutamic acid residue